Beheaded Scottish terrier sign is seen in?
1. Spondylosis
2. Spondylolisthesis
3. Fracture transerve process of lumber vertebra
4. Fracture scaphoid

Correct answer: 2. Spondylolisthesis

Explanation: Ans BIn the oblique view, the "scotty dog" sign can be seen. It is called a scotty dog sign, as the spinous process and lamina connecting the pedicle show the lateral aspect of a Scottish Terrier or "scotty dog." Scotty dog with a collar is seen in Spondylolysis. When the "scotty dog" looks like he has a thick collar or is beheaded the fracture exists suggesting spondylolisthesis.